Most common cause of respiratory disease after thyroidectomy is?
1. B/L Recurrent laryngeal nerve palsy
2. Tension hemotoma
3. Laryngeal edema
4. Hyperparathyroidism

Correct answer: 3. Laryngeal edema

Explanation: Laryngeal edema is the most common cause of post - operative respiratary distress after thyroidectomy.